Bohler angle measurement gives the reference for ?
1. Calcaneus
2. Talus
3. Navicular
4. Cuboid

Correct answer: 1. Calcaneus

Explanation: A i.e. Calcaneum Tuber angle of Bohler and crucial angle of Gissane are measured in fracture calcaneumQ. Air